Which of the following findings is diagnostic of iron deficiency anemia -
1. Increased TIBC, decreased serum ferritin
2. Decreased TIBC, decreased serum ferritin
3. Increased TIBC, increased serum ferritin
4. Decreased TIBC, increased serm ferritin

Correct answer: 1. Increased TIBC, decreased serum ferritin

Explanation: In the development of anemia ,firstly storage iron(ferritin) depletion occurs during which iron reserves are lost without compromise of the iron supply for erythropoiesis.So serum ferritin decreases.TIBC is high and rises to give less than 10% saturation (normal 30%).

Reference :Harsh mohan textbook of pathology sixth edition pg no 300